A 2 years old child without fever develops bone pain, vomiting and features of increased intracranial pressure following excessive meditation. The drug most likely to be responsible for this is;
1. Vitamin A
2. Phenothiazine
3. Phenytoin
4. Vitamin D

Correct answer: 1. Vitamin A

Explanation: Since vit. A is stored in liver, deficiency symptoms appear only after long- term deprivation, but vit A deficiency is quite prevalent, especially among infants and children in developing countries. Manifestations are: * Xerosis (dryness) of eye, 'Bitot' s spots', kerato- malacia (softening of cornea), corneal opacities, night blindness (nyctalopia) progressing to total blindness. * Dry and rough skin with papules (phryno- derma), hyperkeratinization, atrophy of sweat glands. * Keratinization of bronchopulmonary epithe- lium, increased susceptibility to infection. * Unhealthy gastrointestinal mucosa, diarrhoea. * Increased tendency to urinary stone formation due to shedding of ureteric epithelial lining which acts as a nidus. * Sterility due to faulty spermatogenesis,etc ESSENTIALS of medical PHARMACOLOGY SIXTH EDITION-KD TRIPATHI Page:870